Migration studies explains ?
1. Distribution of disease
2. Genetic factors affecting disease
3. Social status of immigrants
4. None of the above

Correct answer: 2. Genetic factors affecting disease

Explanation: Ans. is 'b' i.e., Genetic factors affecting disease